All of the following are known to cause hyperprolactenemia except :
1. Methyldopa
2. Phenothiazines
3. Bromocriptine
4. Metoclopramide

Correct answer: 3. Bromocriptine

Explanation: Answer is C (Bromocriptine) : Bromocriptine is a potent dopamine agonist. It decreases prolactin release from pituitary by activating inhibitory dopaminergic receptors on lactotrope cells, a strong anti-galactopoietics action. Etiology of Hyperprolactinemia I. Physiologic hypersecretion Pregnancy Lactation Chest wall stimulation Sleep Stress II. Pituitary hypersecretion Prolactinoma Acromegaly III. Systemic disorders Chronic renal failure Hypothyroidism Cirrhosis Pseudocyesis Epileptic seizures IV. Drug-induced hypersecretion Ref previous question V. Hypothalamic-pituitary stalk damage Tumors - Craniopharyngioma - Suprasellar pituitary mass extension - Meningioma - Dysgerminoma - Metastases Empty sella Lymphocytic hypophysitis Adenoma with stalk compression Granulomas Rathke's cyst Irradiation Trauma - Pituitary stalk section - Suprasellar surgery